The most important source of histamine
1. Mast cells
2. Eosinophil
3. Neutrophils
4. Macrophages

Correct answer: 1. Mast cells

Explanation: ref Robbins 8/e p57,9/e p83 Histamine is synthesized in all tissues, but is particularly abundant in skin, lung and gastrointestinal tract. Mast cells, which are present in many tissues, are a prominentsource of histamine, but histamine is also secreted by a number of other immune cells.